All of the following are features of chest radiography in Tetralogy of fallot except:
1. Boot shaped heart shadow
2. In 80% right sided arch of aorta
3. Oligemic lung fields
4. Right ventricular enlargement

Correct answer: 2. In 80% right sided arch of aorta

Explanation: Ans. B: In 80% right sided arch of aorta Findings associated with TOF: Right ventricular predominance on palpation May have a bulging left hemithorax Systolic thrill at the lower left sternal border Aortic ejection click Single S2 - Pulmonic valve closure not heard Systolic ejection murmur More cyanotic patients have greater obstruction and a softer murmur. An acyanotic patient with tetralogy of Fallot (pink tetralogy) has a long, loud, systolic murmur. Cyanosis and clubbing - Variable Squatting position Scoliosis - Common Retinal engorgement Chest roentgenography - Coeur en sabot (boot-shaped heart) secondary to uplifting of the cardiac apex from right ventricular hypertrophy and the absence of a normal main pulmonary artery - Normal heart size due to the lack of pulmonary blood flow and congestive heart failure Decreased pulmonary vascularity - Right atrial enlargement - Right-sided aortic arch (30% of patients) with indentation of leftward-positioned tracheobronchial shadow - May be normal in acyanotic tetralogy of Fallot or may resemble findings of small-sized to moderate-sized ventricular septal defect (VSD) with mild right ventricular hypertrophy, right atrial enlargement, and increased pulmonary vascular markings Echocardiography: Reveals a large VSD with an overriding aorta and variable degrees of right ventricular outflow tract (RVOT) obstruction